A 35-year-old lady presents with vaginal discharge. Smears from vaginal discharge show presence of?
1. Trichomonas
2. Entamoeba Histiolytica
3. Toxoplasma
4. Giardia

Correct answer: 1. Trichomonas

Explanation: Ans-A Trichomonas VaginalisThe image shows the presence of the anaerobic flagellated protozoan parasite, which causes vaginitis in women with the development of greenish malodorous discharge.